A female developed brown macule on the cheek, forehead and nose after exposure to light following delivery of a baby, the diagnosis is
1. SLE
2. Chloasma
3. Photodermatitis
4. Acne rosacea

Correct answer: 2. Chloasma

Explanation: Answer is B (Chloasma): Patient has a characteristic 'brown' macule on cheek, with no history suggestive of any systemic involvement, with positive history of delivery of a baby suggesting pregnancy.